Which one of the following Gram positive organism is most common cause of UTI among sexually active women :
1. Staphylococcus epidermidis
2. Staphylococcus aureus
3. Staphylococcus saprophyticus
4. Enterococcus

Correct answer: 3. Staphylococcus saprophyticus

Explanation: Remember:

MC cause of UTI - E. coli
MC cause of nosocomial UTI - E. coli
MC nosocomial infection - UTI
S. saprophyticus produce UTI characteristically in sexually active young woman
Enterococci and S.aureus cause infections in patients with renal stones or previous instrumentation or surgery.